Pain of stylalgia is mediated through which nerve?
1. 9th cranial nerve
2. 10th cranial nerve
3. 11th cranial nerve
4. 12th cranial nerve

Correct answer: 1. 9th cranial nerve

Explanation: ANSWER: (A) 9th cranial nerveREF: Dhingra 4th ed page 287Repeat ENT 2013 Session 1Unrecognized elongation of styloid process, a calcified stylohyoid ligament can compress the Glossopharyngeal nerve producing a neuralgic pain in the throat brought about by swallowing often radiating to the ear. This is known as Eagle's syndrome (Stylalgia).